26 yrs woman with fetus in transverse lie, shoulder presentation, membranes absent, comes to the casualty in second stage of labour, management includes?
1. External cephalic version
2. Internal podalic version
3. Cleidotomy
4. Cesarean section

Correct answer: 4. Cesarean section

Explanation: Caesarean section in the preferred method of delivery if version fails or contraindicated . External cephalic version should be considered around 37 weeks onward . Internal podalic version is contraindicated because it can cause premature rupture of the membrane, placental abruption and bleeding. It can be done in transverse lie of 2nd baby in twin pregnancy. Cleidotomy is done for shoulder dystocia in dead fetus.